National AIDS Control Programme was started in:
1. 1984
2. 1985
3. 1986
4. 1987

Correct answer: 4. 1987

Explanation: Ans: d (1987) Ref: Park, 19th ed, p. 357National AIDS Prevention and Control Policy was approved in April 2002. The objectives include reduction of the impact of epidemic and to bring about a zero transmission rate of AIDS by year 2007. Professional blood donation has been prohibited in the country since 1 January 1998.